Pro-apoptotic gene and anti-apoptotic gene belong to which gene family?
1. p53
2. Bcl
3. BRAF
4. Rb

Correct answer: 2. Bcl

Explanation: * The major mechanism of intrinsic mitochondrial pathway of apoptosis is by pro- and anti-apoptotic members of bcl proteins.* Bcl protein was first detected on B cell lymphoma and hence its name.* It is located on mitochondrial inner membrane and regulates cell growth and cell death.* Pro-apoptotic mechanisms can damage mitochondrial membranes and allow leakage of cytochrome C into the cytoplasm. Cytochrome C is the lifeline of intact mitochondria.Growth promoter/anti-apoptotic proteinsPro-apoptotic proteinsBcl-2, Bcl-X and Mcl-1Bim, Bad and Bid